Most common movemnet force involved in fractures of the spine is which of the following?
1. Flexion
2. Extension
3. C Rotation
4. Compression

Correct answer: 1. Flexion

Explanation: Flexion injury is the commonest spinal injury. Ref: Essential orthopedics by Maheshwari 3rd Edition, Page 144,259,260.